Audiogram in early Meniere's disease shows:
1. Notch at 2 kHz in bone conduction
2. Notch at 4 kHz in air conduction
3. A flat curve
4. A rising curve

Correct answer: 4. A rising curve

Explanation: In early cases of Meniere's disease low frequencies are affected more and the audiogram shows a rising curve. In long-standing cases, audiogram becomes fiat and then falling type.Notch at 2 kHz in bone conduction is typically seen in Carhart's notch seen in otosclerosis (5 dB at 500 Hz, 10 dB at 1000 Hz, 15 dB at 2000 and 5 dB at 4000 Hz).Notch at 4 kHz both in air and bone conduction is seen in noise-induced hearing loss. As the duration of noise exposure increases, notch at 4 kHz deepens and widens to involve other frequencies.